All intravenous anaesthetic agents can cause histamine release except-
1. Thiopentone
2. Propofol
3. Etomidate
4. Ketamine

Correct answer: 3. Etomidate

Explanation: With exception to etomidate, all IV induction agents have been alleged to cause some histamine. However, the incidence of severe anaphylaxsis is is extremely rare to currently available IV agents.